Outer blood retinal barrier is formed by
1. Internal limiting mebrane
2. Endothelium
3. Retinal pigment epithelium
4. Ganglion cells

Correct answer: 3. Retinal pigment epithelium

Explanation: Outer blood retinal barrier is formed by retinal pigment epithelium Blood Retinal Barrier * Outer BRB: Formed by RPE * Inner BRB: Formed by endothelium of microvasculature